New family mean couples under
1. 2 years
2. 5 years
3. Until first child is born
4. 10 years

Correct answer: 4. 10 years